Which of the following is explicit memory -
1. Procedural
2. Nondeclaratine
3. Sementic
4. Working

Correct answer: 3. Sementic

Explanation: Ans. is 'c' i.e., Sementic